A women is exposed to multiple sex partners has 5 times increased risk for - Ca. Cx the attributable risk is -
1. 20%
2. 50%
3. 80%
4. 100%

Correct answer: 3. 80%

Explanation: Ans. is 'c' i.e., 80%